Female breast at puberty is an example of:
1. Hypertrophy
2. Hyperplasia
3. Hypertrophy and hyperplasia
4. Atrophy

Correct answer: 3. Hypertrophy and hyperplasia

Explanation: Hormonal hyperplasia is well illustrated by the proliferation of the glandular epithelium of the female breast at puberty and during pregnancy, usually accompanied by enlargement (hypertrophy) of the glandular epithelial cells. Simultaneous Hypertrophy and Hyperplasia occurs in female breast at the time of puberty.